Satiety centre is located at
1. Ventromedial nucleus of hypothalamus
2. Dorsomedial nucleus of hypothalamus
3. Peritrigonal area
4. Lateral nucleus

Correct answer: 1. Ventromedial nucleus of hypothalamus

Explanation: Satiety centre is situated in ventromedial, arcuate, and paraventricular nuclei; lateral hypothalamus. Ref: Ganong's Review of medical physiology;25th edition; pg: 309; table 17-1.